All of the following statements are true regarding thyroid development except?
1. Endodermal in nature
2. Foramen caecum forms thyroglossal duct
3. Parafollicular C cells are formed from 2nd pouch
4. Parafollicular C cells are derived from neural crest cells

Correct answer: 3. Parafollicular C cells are formed from 2nd pouch

Explanation: Parafollicular C cells are derived from Neural crest cells Thyroid Development: It is endodermal in origin. It begins as a diverticulum known as thyroglossal duct arising from foramen caecum at the base of tongue. Ultimobranchial body is invaded by NCC giving rise to Parafollicular C cells.